Site for action for disulfuram is ?
1. Aldehyde dehydrogenase
2. Alcohol dehydrogenase
3. G6PD
4. Acetate dehydrogenase

Correct answer: 1. Aldehyde dehydrogenase

Explanation: Ans. is 'a' i.e., Aldehyde dehydrogenase